Which among the following pairs of Oncogenes is activated by Translocation?
1. SIS 8c HST-
2. HGF 8c L-MYC
3. TGFcf 8c CDK4
4. ABL 8c C-MYC

Correct answer: 4. ABL 8c C-MYC

Explanation: ANSWER: (D) ABL & C-MYCREF: Robbins 8tn edition page 305ONCOGENES ACTIVATED BY TRANSLOCATION ARE:ABLinCMLC-MYC in Burkitt LymphomaCYCLIN D Mantle Cell LymphomaCategoryProtooncogeneMade of ActivationAssociated Human TumorGrowth Factors PDGF-b chainS/SOverexpressionAstrocytomaOsteosarcomaFibroblast growth factorsHST-1INT-2OverexpressionAmplificationStomach cancerBladder cancerBreast cancerMelanomaTGFaTGFaOverexpressionAstrocytomasHepatocellular carcinomasHGFHGFOverexpressionThyroid cancerGrowth Factor ReceporsEGF-receptor familyERB-B1 (ECFR) ERB-B2OverexpressionAmplificationSquamous cell carcinomas of lung, gliomasBreast and ovarian cancersCSF-1 receptroReceptor forneurotrophic factorsFMSRETPoint mutationPoint mutationLeukemiaMultiple endocrine neoplasia 2A and B, famillial medullary thyroid earcinomasPDGF receptorReceptor for stem cell (steel) factorPDGF-RKITOverexpressionPoint mutationGliomasGastrointestinal stromal tumors and other soft tissue tumoursPorteins Involved inSignal Transduction GTP-bindingK-RASH-RASN-RASPoint mutation Point mutation Point mutationColon, lung, and pancreatic tumorsBladder and Kidney tumorsMelanomas, hematologic malignanciesNonreceptor tyrosine kinaseABLTranslocationChronic myelodi leukemiaAcute lymphoblastic leukemiaRAS signal transduction WNT signal transductionBRAFb-cateninPoint mutation Point mutation OverexpressionMelanomasHepatoblastomas, hepatocellular carcinomaNuclear Regulatory Proteins Transcriptional activatorsC-MYCN-MYCTranslocationAmplificationBurkitt lymphoma Neuroblastoma, small cell carcinoma of lung L-MYCAmplificationSmall cell carcinoma of lungCell-Cycle Regulators CyclinsCYCLIN D CYCLIN ETranslocationAmplificationOverexpressionMantle cell lymphomaBreast and esophageal cancersBreast cancerCyclm-dependent kinaseCDK4Amplification or point mutationGlioblastoma, melanoma, sarcoma